Causes of antigenic drift in influenza viral infections -
1. Small mutation in neuraminidase and hemagglutinin
2. Large mutations in viral genome
3. Step mutations in viral genome
4. None of the above

Correct answer: 1. Small mutation in neuraminidase and hemagglutinin

Explanation: Antigenic drift is due to mutation and selection. REF:ANANTHANARAYAN AND PANIKER'S TEXTBOOK OF MICROBIOLOGY 9TH EDITION PAGE NO-499